Ring shaped epiphyses is seen in ?
1. Osteogenesis imperfecta
2. Morquios syndrome
3. Zellweger syndrome
4. Multiple epiphyseal dysplasia

Correct answer: 1. Osteogenesis imperfecta

Explanation: Ans. is 'a' i.e., Osteogenesis